The most retentive type of pin is
1. Cemented pin
2. Self threading pin
3. Friction locked pin
4. amalgam pins

Correct answer: 2. Self threading pin